Megaloblastic anaemia due to folic acid deficiency is commonly due to -
1. Inadequate dietary intake
2. Defective intestinal absorption
3. Absence of folic acid binding protein in serum
4. Absence of glutamic acid in the Intestine

Correct answer: 1. Inadequate dietary intake

Explanation: Most dietary folate is present as polyglutamates;these are converted to monoglutamate in the upper small intestine & actively transported into plasma.Plasma folate is loosely bound to plasma proteins such as proteins such as albumin & there is an enterohepatic circulation.Total body stores of folate are small & deficiency can occur in a matter of weeks

Serum folate is very insensitive to dietary intake; a single meal can normalise it in a patient with true folate deficiency.

Reference :Davidson's Principles & Practice of Medicine 22nd edition pg no1025